A physician asks a patient to hold her right upper arm close to her lateral chest wall, and bend the arm at the elbow so that the palm is facing upward. The physician then directs the patient to turn her hand so that the palm faces downward, without bending her wrist. This maneuver causes discomfort to the patient, which the physician notes as pain on ?
1. Abduction of the forearm
2. Adduction of the forearm
3. Flexion of the forearm
4. Pronation of the forearm

Correct answer: 4. Pronation of the forearm

Explanation: When the forearm is rotated from anatomic position so that the palm faces posteriorly, the forearm is said to be pronated.Abduction raises the arm to a horizontal position away from the body; adduction is the reverse.Flexion brings the arm or forearm forward, in front of the plane of the body.